All of following are true about carcinoma of cervix except :
1. Commonest genital cancer in females in India
2. Blood spread is not very common
3. No cytological test is available for screening in early phase of disease
4. Disturbance of normal menstrual pattern may be the first manifestation

Correct answer: 3. No cytological test is available for screening in early phase of disease

Explanation: No cytological test is available for screening in early phase of disease